Lens displacement in Marfan syndrome:
1. Upward & nasally
2. Downward & nasally
3. Upward & temporally
4. Downward & temporally

Correct answer: 3. Upward & temporally

Explanation: Ans. C i.e. Upward & temporally